Type of inheritance in Tuberous sclerosis ?
1. Autosomal dominant
2. Autosomal recessive
3. X-linked dominant
4. X-linked recessive

Correct answer: 1. Autosomal dominant

Explanation: Ans. is 'a' i.e., Autosomal dominant